You are explaining the future risks for an IUGR baby to the parents of a neonate. Which of the following is FALSE regarding the future risks in an IUGR?
1. They have a higher risk of developing hypertension
2. They have a higher risk of developing CAD
3. They have a higher risk of developing autoimmune thyroiditis
4. They have a higher risk of developing Left colon syndrome

Correct answer: 4. They have a higher risk of developing Left colon syndrome

Explanation: Left colonic syndrome is a self limiting temporary bowel obstruction which may be due to a large meconium plug. It can mimic Hirschsprung's disease in the neonatal period. It is more commonly seen large for gestational age babies. Note: IUGR babies are also at higher risk for developing non insulin dependent diabetes mellitus, Hypertension, CAD and autoimmune thyroiditis. Ref: Oxfords Handbook of clinical specialities, 7th Edition 7, Page 52, 53